Which of the following is spared in lumbar sympathectomy:
1. L1
2. L2
3. L3
4. L4

Correct answer: 1. L1

Explanation: Ans. A: Ll To preserve sexual functions, Ll is preserved.